Rotator interval is between
1. Supraspinatus and trees minor
2. Teres major and teres minor
3. Supraspinatus and subsacapularis
4. Subsapalris and infraspinatus

Correct answer: 3. Supraspinatus and subsacapularis

Explanation: Refer Essentials of Orthopedic surgery Rotator interval is a triangular portion of shoulder capsule which lies between supraspinatus and subsacapularis tendon